Wrong about Corynebacterium diphtheriae
1. Toxin production is chromosome mediated
2. Damage is by toxin production
3. Toxic to heart and neurons
4. More common in children

Correct answer: 1. Toxin production is chromosome mediated

Explanation: C. diphtheriae virulence is mediated by its toxin which is produces by tox gene of DNA of Corynephage (bacteriophage).